Which of the following statement about VHL syndrome is true?
1. Multiple tumors are rarely seen
2. Craniospinal hemangioblastoma are common
3. Supratentorial tumors are common
4. Tumors of Schwann cells are common

Correct answer: 2. Craniospinal hemangioblastoma are common

Explanation: Ans. (b) Craniospinal hemangioblastoma are commonRef: Sabiston 19th edition page 708Von Hippel Lindau Syndrome:* Autosomal dominant* Multiple vascular tumors in many organs* Hemangioblastomas of Retina and CNS* Renal cysts, Cysts in Epididymis, Liver and Pancreas* Clear cell RCC* Pheochromocytoma* Pancreatic endocrine tumors* Adrenal cancers* Polycythemia is a characteristic feature of VHL due to erythropoietin production by hemangioblastoma